True about pain of pericarditis is -a) Pain increase on leaning forwardb) Pain decreasing on supine positionc) Pain increases during inspirationd) Pain increasing on eating
1. ab
2. bc
3. bd
4. cd

Correct answer: 4. cd